Average blood loss in normal menstruation:
1. 50 ml
2. 80 ml
3. 100 ml
4. 120 ml

Correct answer: 1. 50 ml